The neck of pancreas is related on its posterior surface to
1. Gastroduodenal artery
2. Superior mesenteric vein
3. Inferior vena cava
4. Bile duct

Correct answer: 2. Superior mesenteric vein

Explanation: Neck of pancreas is located between the head and the body of the pancreas. It overlies the superior mesenteric vessels which form a groove in its posterior aspect. Ref - BDC 6e vol2 pg 298-300